Prensenting symptom of carcinoma stomach is -
1. Bleeding
2. Obstruction
3. Perforation
4. Weight loss

Correct answer: 4. Weight loss